False about ORS composition is
1. NaCl 2.6 grams
2. KCl 1.5 grams
3. Na+ 75 mmol/L
4. K+ 65 mmol/L

Correct answer: 4. K+ 65 mmol/L

Explanation: WHO low osmolarity ORS Composition Weight Osmolar concentration (mmol/litre) Sodium chloride 2.6 gm Sodium 75 Potassium chloride 1.5 gm Potassium 20 Sodium citrate 2.9 gm Chloride 65 Glucose,anhydrous 13.5 gm Citrate 10 Glucose,anhydrous 75 Total 20.5 gms Total 245